True regarding specificity:
1. Identifies false +ve
2. Identifies false -ve
3. Identifies true + ve
4. Identifies true -ve

Correct answer: 4. Identifies true -ve

Explanation: .specificity is defined as the ability of a test to identify correctly those who do not have the disease,that is "true negatives". ref:park's textbook of preventive and social medicine,22nd edition,pg no 131